First clinical sign of vitamin A deficiency -
1. Poor growth
2. Conjunctival xerosis
3. Hydrocephalus
4. Phrynoderma

Correct answer: 2. Conjunctival xerosis

Explanation: Ans. is 'b' i.e., Conjuncival xerosis * The most characteristic and specific sign of vitamin-A deficiency are eye lesions. The term xerophthalmia (dry eye) comprises all ocular manifestations of vitamin-A deficiency.* It has following stages1) Night blindness (earliest symptom)2) Conjunctival xerosis (earliest sign)3) Bitot's spot4) Corneal xerosis5) Corneal ulcer & keratomalacia.